Pre-auricular sulcus helps in detection of -
1. Age
2. Sex
3. Race
4. Height

Correct answer: 2. Sex

Explanation: Pre auricular sulcus is more frequent, broad and deep in female pelvis as compared to male. ref : Dr. Narayana Reddys Synopsis of Forensic Medicine & Toxicology 27 th edition pg. 32.